High risk pregnancy are all except
1. Elderly primi
2. Short stature primi
3. Vertex presentation
4. Diabetes

Correct answer: 3. Vertex presentation

Explanation: High risk pregnancy cases include: 1. Elderly primi (30yrs and more) 2. Short statured primi (140cm and less) 3.Malpresentations such as breech , transverse lie etc. 4. Antepartum haemorrhage , threatened abortion 5. Preeclampsia and eclampsia 6. Anaemia 7. Twins , hydraminos 8. Previous still birth, intrauterine death, manual removal of placenta 9. Elderly grandmultiparas 10. Prolonged pregnancy (14 days after expected date of delivery) 11. History of previous caesarean or instrumental delivery 12. Pregnancy associated with general diseases like cardiovascular diseases, kidney disease, diabetes, TB, liver disease, malaria, convulsions, asthma, HIV, RTI , STI ect. 13. Treatment for infertility 14. Three or more spontaneous consecutive abortions The only exception to the question is option 3 as vertex presentation is not a case of high risk pregnancy. Reference: Park's textbook of preventive and social medicine 23rd edition pg 526